All of the following are true about Weber's syndrome. Except
1. Ipsilateral occulomotor nerve palsy
2. Diplopia
3. Contralateral hemiplagia
4. Ipsilateral facial nerve palsy

Correct answer: 4. Ipsilateral facial nerve palsy

Explanation: Answer is D (Ipsilateral facial nerve palsy): Weber's syndrome is `midbrain' syndrome charachterized by Ipsilateral Occulomotor Nerve Palsy (Opthalmoplegia / Diplopia) and Contralateral Hemiplegia. Midbrain Syndromes Symptoms and Signs Structures involved Weber's syndrome * Ipsilateral oculomotor nerve palsy * Oculomotor nerve * Contralateral hemiplegia including face * Corticospinal and corticobulbar tracts Benedikt's syndrome * Ipsilateral oculomotor nerve palsy * Oculomotor nerve * Contralateral hemiparesis including face * Corticospinal and corticobulbar tracts * Contralateral intention tremor * Red nucleus Claude's syndrome * Ipsilateral oculomotor nerve palsy * Oculomotor nerve * Contralateral hemiataxia and hemiasynergia * Red nucleus and brachium conjunctivum Parinaud's syndrome * Bilateral vertical palsy * Superior colliculus * Bilateral paralysis of convergence * Superior colliculus